Animal reservoir is seen in all except-
1. Rabies
2. Yellow fever
3. Influenza
4. Measles

Correct answer: 4. Measles

Explanation: The only source of measles infection is a case of measles. Carriers are known to occur. Ref: 25th edition, Park's Textbook of Preventive and Social Medicine, Page no. 160